While a patient was being given an obstetric nerve block she gradually lost her voluntary control over urination. The muscle which got anaesthetized is located in the
1. Trigone of the bladder
2. Urogenital diaphragm
3. Superficial perineal pouch
4. Pelvic diaphragm

Correct answer: 2. Urogenital diaphragm

Explanation: The urogenital diaphragm contains the external urinary sphincter & deep transversus perinei muscle which is responsible for voluntary control over urination. In its blockade, the voluntary control over micturition will be lost.